Which is the most common benign breast condition which presents in young females as a palpable lump?
1. Fibroadenoma
2. Phylloides tumor
3. DCIS
4. LCIS

Correct answer: 1. Fibroadenoma

Explanation: Ans. is 'a' i.e., Fibroadenoma * Fibroadenomas are the most common benign tumor of the female breast.* Most occur in women in their 20s and 30s, and they are frequently multiple and bilateral.* Young women usually present with a palpable mass and older women with a mammographic density or clustered calcifications.* The epithelial component is hormonally responsive and there is typically an increase in size due to lactational changes during pregnancy.* Such increases in size may be complicated by infarction and inflammation, and may raise a false suspicion of carcinoma.